Fine needle aspiration cytology is not able to detect which of the the following
1. Papillary carcinoma
2. Hashimotos thyroiditis
3. Follicular cancer
4. Medullary cancer

Correct answer: 3. Follicular cancer

Explanation: Refer Robbins page no 1094 Because of the beer for evaluating capsular integrity the definitive diagnosis oRT Adenoma can be made only aferr6 careful histologic examination oRT Te respected specimen .Suspected Adenoma of thyroid are therefore removed surgically to exclude malignancy